True about anopheles mosquito –
1. Larvae have siphon tube
2. Larvae are surface feeder
3. Larvae are bottom feeder
4. Larvae lie at an angle to water surface

Correct answer: 2. Larvae are surface feeder